Alpha -1 antitrypsin deficiency occurs in
1. Emphysema
2. Bronchiectasis
3. Empyema
4. Brochogenic carcinoma

Correct answer: 1. Emphysema

Explanation: Emphysema:*Irreversible enlargement of airspaces distal to terminal bronchioles accompanied by destruction of their walls.*Types: Centriacinar (Common), panacinar, paraseptal and irregular.*Panacinar emphysema is associated with a1-antitrypsin deficiency, which is an inhibitor of proteases secreted by neutrophils during inflammation. *In a1-antitrypsin deficiency individuals, any stimulus (like smoking) that increases neutrophils in the lung causes an uninhibited destruction of lungs by proteases causing emphysema.Ref: Robbins 8/e p684